Snow storm appearance is seen in:
1. Hydatid cyst
2. Choriocarcinoma
3. Hydatidiform mole
4. Twin pregnancy

Correct answer: 3. Hydatidiform mole

Explanation: Ans: c (Hydatidiform mole)Ref: William's Obstetrics, 23rd ed. Chapter 11Some women will present early with spontaneous passage of molar tissue.ln most cases, however, there are varying durations ofamenorrhoea, usually followed by irregular bleeding. Thesealmost always prompt pregnancy testing and sonography.If left untreated, spontaneous expulsion usually occurs around 16 weeks.The characteristic sonographic appearance of a complete mole includes a complex, echogenic uterine mass with numerous cystic spaces and no fetus or amnionic sac- "snow-storm".Sonographic features of a partial mole include a thickened, hydropic placenta with foetal tissue. Importantly, in early pregnancy, sonography willdemonstrate the characteristic appearance in as few as athird of women with a partial mole.Occasionally, molar pregnancy may be confused for auterine leiomyoma or multi fetal pregnancy.